What is the Glasgow Coma Scale score in a conscious person?
1. 8
2. 3
3. 10
4. 15

Correct answer: 4. 15

Explanation: Glasgow coma scale consists of three elements - Eye response, Verbal response and Motor response. A conscious person has spontaneous eye opening (score of 4), oriented, converses (score of 5) and obeys commands (score of 6). So the total score is 15. Ref: Bailey and Love Short Practice of Surgery, 25th Edition, Page 301 .